Essential for tumor metastasis is -
1. Angiogenesis
2. Tumorogenesis
3. Apoptosis
4. Inhibition of tyrosine kinase

Correct answer: 1. Angiogenesis

Explanation: Harshmohan textbook of pathology 7th edition. tumour angiogenesis play a very significant role in metastasis since the new vessels formed as apart of growing Tumor are more vulnerable to invasion because this evolving vessels are directly in contact with cancer..